which of following is not used in the management of tardive dyskinesia
1. flupenthixol
2. clonazepam
3. vitamin E
4. ondansean

Correct answer: 1. flupenthixol

Explanation: TREATMENT OF TARDIVE DYSKINESIA Benztropine Benzodiazepine Vitamin E Ondansean clozapine Ref. kaplon and Sadock, synopsis of psychiatry, 11 th edition, pg no. 925